Which is not a side effect of G H administration?
1. Gynecomastia
2. Hypoglycemia
3. Slipped capital femoral epiphysis
4. Pseudotumor cerebri

Correct answer: 2. Hypoglycemia

Explanation: Ans. is 'b' i.e., Hypoglycemia Adverse effects of Growth hormoneo Reversible dose-related fluid retention.o Joint pain, and carpal tunnel syndrome, myalgias and paresthesia.o Hyperglycemia- GH is a potent counter-regulatory hormone for insulin action. Patients with type 2 diabetes mellitus initially develop further insulin resistance. Glycemie control improves with the sustained loss of abdominal fat associated with long-term GH replacement.o Headache, benign intracranial hypertension, Hypertension, atrial fibrillation, and tinnitus,o Pituitary' tumor regrowth and potential progression of skin lesions,o Gynaecomastiao Acromegalyo Cardiomyopathyo Slipped capital drmoral epiphysis, turner syndrome, and other known causes of short stature are more likely to develop SCFE before or during GH treatment than children with idiopathic short stature.